Little's are is
1. Anteroinferior lateral wall
2. Anteroinferior nasal septum
3. Posteroinferior lateral wall
4. Posterinferior nasal septum

Correct answer: 2. Anteroinferior nasal septum

Explanation: The anteroinferior part or vestibule of the septum contains anastomoses between the septal ramus of the superior labial branch of facial artery,branch of sphenopalatine artery,greater palatine and of anterior ethmoidal artery These form a large capillary network called kiesselbachs plexus. This is a common site of bleeding from nose or epistaxis and known as littles area. Ref BDC volume3,Sixth edition pg 241